Forschheimer spot is seen in ?
1. Measles
2. Chicken pox
3. Erythema infectiosum
4. Rubella

Correct answer: 4. Rubella

Explanation: Ans. is 'd' i.e., Rubella Clinical features of rubella Incubation period is 2-3 weeks (14-21 days). Clinical features are :? Prodrome (fever, sore throat, coryza) Lymphadenopathy (posterior auricular, cervical, suboccipital) Rash which begins on face and spreads down the body. Furschheimer spots is a petechial exanthem on soft palate. Complications include arthralgia, encephalitis and thrombocytopenia.